Subcostal nerve lies at -
1. Above llth rib
2. Below llth rib
3. Above 12th rib
4. Below l2th rib

Correct answer: 4. Below l2th rib

Explanation: Ans. is'd'i.e., Below 12th ribSubcostal nerve runs along the lower border of 12th rib.It also supplies syramidialis.